Most common indication for liver transplant in children is:
1. Viral hepatitis with fulminant hepatic failure
2. Biliary atresia
3. Metabolic disease
4. Hepatic tumor

Correct answer: 2. Biliary atresia

Explanation: Biliary atresia is the most common indication for liver transplantation in children, followed by metabolic and inborn disorders, autoimmune and familial cholestatic disorders, and acute hepatic necrosis.